Vision 2020 "The right to sight" includes all except -
1. Trachoma
2. Epidemic conjunctivitis
3. Cataract
4. Onchocerciasis

Correct answer: 2. Epidemic conjunctivitis

Explanation: Ans. is 'b' i.e.. Epidemic conjuctivitis Vision 2020 : The Right to Sight : Global Initiative for Elimination ofAvoidable Blindness After the realization that unless blindness control efforts are intensified, the prevalence of blindness will double by 2020 AD, the WHO along with an International Partnership committees launched the Vision 2020 Initiative in 1995. o Three essential elements of a global plan were set out as follows. Setting up strategies and targets for disease control. Planning human resource needs and development. Addressing infrastructure needs and development. Under the global initiative for the elimination of all avoidable blindness by 2020 AD, all countries are commited to a minimum programme. Countries can include other problems than those identified under the minimum programme based on their local situation and needs. o The diseases identified for global elimination include : ? 1. Cataract blindness 2 Trachoma blindness and transmission Onchorerciasis Avoidable causes of childhood blindness Refractive errors and low vision o Targets have been set up for each of the component diseases for the next 20 years. o Above 5 diseases were for global vision 2020. Indian vision 2020 includes following seven diseases. Cataract blindness v. Glaucoma Trachoma blindness and transmission vi. Diabetic retinopathy Childhood blindness vii. Corneal blindness Refractive errors and low vision